True about breastfeeding is
1. Best for both preterm and term
2. 50% energy from protein
3. Should be avoided for a day after caesarian section
4. Predispose to necrotising enterocolitis

Correct answer: 1. Best for both preterm and term

Explanation: Breast milk contains all the nutrients a baby needs for normal growth and development. The protein content is low. The immunological superiority of breast milk protects from infections.Within 4 hrs breastfeeding initiated in C-section and within 1 Hr in normal delivery.Ref: Page 151; Ghai Essential Pediatrics; 8th edition